Development of national blindness control program is assisted by
1. SIDA
2. DANIDA
3. FORD
4. CARE

Correct answer: 2. DANIDA

Explanation: DANIDA (Danish international development agency) is providing assistance for the development of services under National Blindness Control Programme.Park 23e pg: 924